Rosettes are characteristically seen in -
1. Retinoblastoma
2. Melanoma
3. Dysgerminoma
4. Lymphoma

Correct answer: 1. Retinoblastoma

Explanation: Robbins basic pathology 9th edition page no 261, Differentiated structures are found within many retinoblastomas, the most common of these being Flexner-Wintersreiner rosettes. These structures consist of clusters of cuboidal or short columnar cells arranged around a central lumen. The nuclei are displaced away from the nucleus. In well-differentiated tumors, there are Flexner-Wintersteiner rosettes and fleurettes reflecting photoreceptor differentiation